Adenocarcinoma of ethmoid sinus occurs commonly in:
1. Fire workers
2. Chimney workers
3. Watch makers
4. Wood workers

Correct answer: 4. Wood workers

Explanation: Workers of furniture industry develop adenocarcinoma of the Ethmoids and upper nasal cavity. While those engaged in Nickel refining get squamous cell and Anaplastic carcinoma.